Screening method for medullary carcinoma thyroid is :
1. Serum calcitonin
2. S. calcium
3. S. alkaline phosphate
4. S. acid phosphatase

Correct answer: 1. Serum calcitonin

Explanation: Answer is A (Serum Calcitonin): Medullary Carcinoma Thyroid are tumors of para-follicular 'C' cells derived from the neural crest, & are not derived from the cells of thyroid follicles. Since these pars follicular 'C' cells secrete CalcitoninQ, high level of serum Calcitonin (> 0.08 zsg/m1) are found. These levels fall after resection, & will rise again if the tumor recurs, making it the ideal candidate for screening tests. Also note :These cancers are associated with HypocalcemiaQ because calcitonin counteracts parathormnone.